Pseudotumor cerebri is seen in -
1. Obese women in the age group 20-40 yrs.
2. Obese males 20-40 yrs.
3. Thin females 50-60 yrs.
4. Thin males 50-60 yrs.

Correct answer: 1. Obese women in the age group 20-40 yrs.